In eosphageal perforation all are seen except?
1. Pain
2. Bradycardia
3. Fever
4. Hypotension

Correct answer: 2. Bradycardia

Explanation: Ans. is 'b' i.e., bradycardia